Primary metabolic bone disorder in scurvy is ?
1. Decreased mineralization
2. Decreased osteoid matrix formation
3. Increased bone resorption
4. Decreased bone mass with normal mineralization and osteoid formation

Correct answer: 2. Decreased osteoid matrix formation

Explanation: Ans. is 'b' i.e., Decreased osteoid matrixo Collagen is a component of osteoid (protein matrix).o Collagen synthesis is deficient in scurvy; therefore, osteoid formation is defective.o On the other hand, in rickets osteoid formation is normal, but mineralization (Calcification) of osteoid is defective.